Mycosis fungoides:
1. Cutaneous T cell lymphoma
2. Fungal infection
3. Bacterial infection
4. Cutaneous B cell lymphoma

Correct answer: 1. Cutaneous T cell lymphoma

Explanation: Ans. A i.e. Cutaneous T cell lymphoma Mycosis fungoides Mycosis fungoides is also known as: Cutaneous T cell lymphoma, Special features: - MC skin lymphoma, - Pautrier's microabscesses - Presents with diffuse erythroderma